Indication for circumcision in children:
1. Phimosis
2. Non-retractable prepuce in a 3 month old baby
3. Noctural enuresis
4. Severe diaper rash

Correct answer: 1. Phimosis

Explanation: Ans. (a) PhimosisRef: Campbell Uro 3370* Circumcision is the treatment of choice in Phimosis.* Circumcision is Contraindicated in Hypospadias, Penile curvature, dorsal hood deformity, buried penis and webbed penis.* Most common complication of circumcision is bleeding.